Anesthetic agent causing bradycardia are all except :
1. Ketamine
2. Bupivicail.ne
3. Procaine
4. Prolicaine

Correct answer: 1. Ketamine

Explanation: Ketamine